Most common site of stress fracture -
1. 2nd metacarpal
2. 2nd metatarsal
3. Fibula
4. Ribs

Correct answer: 2. 2nd metatarsal

Explanation: Ans. is 'b' i.e., 2nd metatarsal Three most common sites for stress fractures* Second and third metatarsal (most common site)- due to repeated marching in solider.* Fibula (2nd most common) and* Tibia (3rd most common site) - repeated running or dancing.